The condition which characteristically shows bone infarcts is:
1. Iron deficiency anaemia
2. Thalassemia
3. Sickle cell anaemia
4. Hereditary spherocytosis

Correct answer: 3. Sickle cell anaemia

Explanation: Bone marrow infarcts are frequent causes of pain in sickle cell anaemia. The heads of the femur and humerus are susceptible to avascular necrosis, a potential source of constant pain and disability. Ischemic bone becomes susceptible to bacterial osteomyelitis. Joint effusions and occasionally hemarthrosis may be seen adjacent to infarcted bones. Ref: Kato G.J., Gladwin M.T. (2005). Chapter 108. Sickle Cell Disease. In J.B. Hall, G.A. Schmidt, L.D. Wood (Eds), Principles of Critical Care, 3e.